First sign of magnesium sulphate toxicity is?
1. Loss of deep tendon reflexes
2. Respiratory depression
3. Cardiac arrest'
4. Decrease urinary output

Correct answer: 1. Loss of deep tendon reflexes

Explanation: Ans. (a) Loss of deep tendon reflexesRef : William's 23ed e. p-738